Foamy macrophage is formed by -
1. LDL
2. HDL
3. Oxidized LDL
4. Oxidized HDL

Correct answer: 3. Oxidized LDL

Explanation: Ans. is 'c' i.e., Oxidized LDLo Foam cells are lipid laden cells that derive predominantly from macrophages, but smooth muscle cells can also imbibe lipid to become foam cells.o Macrophages and endothelial cells generate oxygen free radicals that induce chemical change in LDL to yield oxidized (modified) LDL.o Oxidized LDL has following effects -Ingested by macrophages through the scavenger receptor, distinct from LDL receptors, thus forming foam cells.Increases monocyte accumulation in lesions.Stimulates release of growth factors and cytokines.Is cytotoxic to smooth muscle cells and endothelial cells,o Oxidized LDL form the core of the atheromatous plaque.